Clomiphene citrate is:
1. Antiandrogen
2. Synthetic steroid
3. Antiestrogen
4. GnRH analogue

Correct answer: 3. Antiestrogen